Which of the following used to measurement in diabetes mellitus
1. HbA
2. HbS
3. HbA2
4. HbAlC

Correct answer: 4. HbAlC

Explanation: (HbA1c) (853-HM) (775-Basicpathology 8th)Glycosylated haemoglobin (HbA|C) - Long term objective assessment of degree of diabetic control is better done by measurement of glycosylated haemoglobin.* HbA1c assay gives an estimate of diabetic control for the preceding 6-10 weeks (Normal life span of RBC's = 120 days)* **C-peptide assay - more sensitive than insulin assay because its levels are not affected by insulin therapy.